Treatment of thyroid storm includes all, EXCEPT ?
1. Propranolol
2. Radioactive iodine
3. Hydrocortisone
4. Lugol's iodine

Correct answer: 2. Radioactive iodine

Explanation: Ans. is 'b' i.e., Radioactive iodine Thyroid storm is a life threatening exacerbation of thyrotoxicosis. Radioactive iodine is itself a precipitating cause of thyrotoxic crisis. Management is described in previous question. Lugol's iodine is 5% iodine in 10% Potassium iodide solution.